Gall bladder stone formation in influenced by all except:
1. Clofibrate therapy
2. Hyperalimentation
3. Primary biliary cirrhosis
4. Hypercholesterolemia

Correct answer: 4. Hypercholesterolemia

Explanation: Answer is D (Hypercholesterolemia): It is increased concentration of cholesterol relative to bile salts in bile that promotes gall stone formation. Serum cholesterol may well be normal. All ether options are known local factors that promote gall stone formation and hence Hypercholesterolemia is the single best answer of exclusion. Formation of Gall stones is promoted by following factors : Increased concentration of cholesterol relative to bile salts in bile. (With or without hypercholesterolemia) Stasis Infection Clofibrate therapy : This drug is used to excrete cholesterol in hyperlipoprotenemia It therefore increases the concentration of cholesterol in bile. Hyperalimentation : Parental supplementation leads to hypofunction of Gall bladder, thus contibuting to gall stone formation by 'Stasis'. Primary biliary cirrhosis : Leads to a decrease in bile acid secretions. Decreased salts are unable to keep cholesterol in solution and therefore lead to precipitation of cholesterol stones